In PCOD, which is true
1. Increase FSH, decrease LH
2. Increase LH, decrease estrogen
3. Increase FSH/LH ratio, decrease estrogen
4. Increase LH, increase estrogen

Correct answer: 4. Increase LH, increase estrogen

Explanation: (D) Increase LH, increase estrogen > The ratio of LH (Luteinizing hormone) to FSH (Follicle stimulating hormone) is greater than 1:1, as tested on Day 3 of the menstrual cycle due to increase in LH.Oestrogen levels are incresed.